"String sign of Kantor" is seen in
1. Ulcerative colitis
2. Crohn's disease
3. Cholecystitis
4. Appendicitis

Correct answer: 2. Crohn's disease

Explanation: (Crohn's disease) (1170-LB) (1171-B & L 25th)* Crohn's disease - The principal findings include thickened bowel wall with stricture ("String sign of kantor")* Rovsing's sign - A sharp pressure over the left iliac fossa produces pain in the right iliac fossa in Acute Appendicitis* Murphy's sign - The patient experiences pain and "Catches the breath" just before the zenith of respiration when the gall bladder area is gently pressed in acute cholecystitis* Boas sign - There may be an area of hyperaesthesia between the ninth and eleventh ribs posteriorly on the right side in Acute cholecystitis.